Type of respiration in morphine poisoning is -
1. Slow
2. Rapid
3. Rapid shallow
4. Diaphragmatic

Correct answer: 1. Slow